LES pressure is decreased by all except
1. Alcohol
2. Fat
3. Protein
4. Peppermint

Correct answer: 3. Protein

Explanation: LES pressure- 10-25mm Hg LES presssure decreased by Alcohol, smoking, fat Coffee, Chocolate, Mint Barbiturates, Atropine, diazepam, theophylline Ref; katzung 12th ed.